All of the following is increased in infants of heart disease patient except
1. Prematurity
2. IUGR
3. Increased incidence of cardiac disease
4. Neural tube defect

Correct answer: 4. Neural tube defect

Explanation: Fetal effects in Cardiac disease complicating pregnancy

Overall Perinatal mortality is not greater than the general population
Fetal Growth Restriction 
Preterm labour
If the mother has congenital heart disease fetus is at risk 
50% have the same anomaly as mother